Which muscle causes adduction of wrist joint?
1. Flexor carpi radialis
2. Flexor carpi ulnaris
3. Flexor pollicis longus
4. Flexor digitorum profundus

Correct answer: 2. Flexor carpi ulnaris

Explanation: Flexor carpi ulnaris Humeral head Ulnar head origin Medial epicondyle of humerus Medial aspect of olecranon process and posterior border of ulna insertion Pisiform bone , insertion prolonged to hook of hamate and base of fifth metacarpal bone nerve supply Ulnar nerve Actions Flexes and adducts the hand at the wrist. Reference page no 107,108- BD chauriasia- upper limb & thorax